A 5-year-old boy has been diagnosed to have postero-superior retraction pocket with cholesteatoma. All would constitute part of management except:
1. Audiometry
2. Mastoid exploration
3. Tympanoplasty
4. Myringoplasty

Correct answer: 4. Myringoplasty

Explanation: Audiometry is required to know the level of hearing and proper counselling of the patient. Hearing may deteriorate alter surgery when cholesteatoma is removed. Cholesteatoma in such case may be bridging the gap between ossicles thus providing sound conduction - cholesteatoma hearer.Mastoid will be explored to see if cholesteatoma is extending posteriorly into antrum and mastoid. Tympanoplasty is required to eradicate disease from the middle ear and also to reconstruct ossicular chain and repair posterosuperior defect of tympanic membrane.